The most efficacious drug for inhibiting round the clock gastric acid output is:
1. Omeprazole
2. Cimetidine
3. Pirenzepine
4. Misoprostol

Correct answer: 1. Omeprazole

Explanation: -PPI like omeprazole are strongest acid inhibitors. -PPI are drug of choice for peptic ulcer.